Ina patient with clinical signs of asthma which of the following tests will confirm the diagnosis
1. Increase in FEV1/FVC
2. >200 ml increase in FEV1 after Methacholine
3. Diurnal variation inPEF>20 %
4. Reduction of FEV1>20% after bronchodilators

Correct answer: 3. Diurnal variation inPEF>20 %

Explanation: Demonstrated outflow obstruction.,: Decreased FEV1 Decreased PEF Decreased FEV1/FVC Ref Harrison 19th edition pg 1675